Which one of the following is not a diagnostic criterion for rheumatoid arthritis according to the American Rheumatism Association?
1. Raised rheumatoid factor.
2. Symmetric swelling (arthritis) for at least 6 weeks.
3. Symmetrical muscle weakness.
4. Rheumatoid nodules.

Correct answer: 3. Symmetrical muscle weakness.

Explanation: Ans. C. Symmetrical muscle weakness.Rheumatoid arthritis is defined by the presence of four or more of the following criteria according to the American Rheumatism Association:a. Morning stiffness in and around joints lasting at least 1 hour before maximal improvement, present for at least 6 weeksb. Soft tissue swelling (arthritis) of three or more joint areas observed by a physician, present for at least 6 weeksc. Swelling (arthritis) of the proximal interphalangeal, metacarpophalangeal or wrist joints for at least 6 weeksd. Symmetric swelling (arthritis) for at least 6 weekse. Rheumatoid nodulesf. The presence of rheumatoid factorg. Radiographic erosions and/or periarticular osteopenia in hand and/or wrist joints